Which of the following is the most reliable method of estimating blood alcohol level ?
1. Cavett's test
2. Breath alcohol anaylzer
3. Gas liquid chromatography
4. Thin layer Chromatography

Correct answer: 3. Gas liquid chromatography

Explanation: Gas chromatography is most desirable method of alcohol estimation for medicolegal purpose.